Hydrogen peroxide is used in all of the following chemical tests for blood except -
1. Benzidine test
2. Phenolphthalein test
3. orthotolidine test
4. Teichmann test

Correct answer: 4. Teichmann test

Explanation: All chemical tests which are used for detection of nature of blood stain are based on peroxidase enzyme and H2O2 
 These tests are benzidine test, phenolphthalein test (Kastle meyer test), leucomalachite green test, guaiacum test, orthotolidine test (Kohn test) and amidopyrine test.